Calculate the median from the following values 1.9,1.9, 1.9, 2.1, 2.4, 2.5, 2.5, 2.9 -
1. 1.2
2. 1.9
3. 2.25
4. 2.5

Correct answer: 3. 2.25